Which of the following best responds to sympathectomy -
1. Buerger's disease
2. Hyperhydrosis
3. Raynaud' s disease
4. Acrocyanosis

Correct answer: 2. Hyperhydrosis